The characteristic feature of apoptosis on light microscopy is
1. Cellular swelling
2. Nuclear compaction
3. Intact cell membrane
4. Cytoplasmic eosinophlia

Correct answer: 2. Nuclear compaction

Explanation: The nuclear chromatin is condensed or fragmented by light microscopy.(Ref: Textbook of PATHOLOGY HARSH MOHAN 6th Edition page no.48)